In which of the following disease, Screening procedure increases the overall survival maximum?
1. Prostate cancer
2. Lung cancer
3. Colon cancer
4. Ovarian cancer

Correct answer: 3. Colon cancer

Explanation: Colonic cancer has highest 5-year survival rate post-screening. - This can be known by Kaplan meiyer survival analysis. - Screening of colonic cancer is done by colonoscopy. SCREENING TESTS OF OTHER OPTIONS: - Prostate cancer : Prostate specific antigen + DRE - Lung cancer : Chest x-ray - Ovarian cancer: transvaginal ultrasound (TVUS) & CA-125 blood test.